The method not used in the stature estimation from bones is
1. Steele & Mckern
2. Karl pearson's
3. Haderup's
4. Trotter & Glessor

Correct answer: 3. Haderup's

Explanation: Stature from Skeletal Remains Stature can also be determined from skeletal bones by mathematical calculations or formula. Usually long bones are ideal for determining stature. Formulae used to estimate stature in medicolegal practice are: Karl Pearson's formula Trotter and Glaister's formula multiplication factors devised by Indian researchers Stature (S) = Average length of long bone (l) x Multiplication factor (MF)